About myocardial oxygen demand, true is
1. Inverse relation with heart rate
2. Inverse relation of systemic hypertension
3. Directly Proportional to ventricle systole duration
4. Negligible in quiescent heart

Correct answer: 3. Directly Proportional to ventricle systole duration

Explanation: Myocardial O2 demand and consumption is directly proportional to heart rate and systemic arterial pressure. Myocardial efficiency is the least when heart is contracting against a greater afterload or arterial resistance. It is less efficient with increasing heart rate. And, it is most economical with greater stroke volume (with afterload and heart rate kept constant). Even in quiescent heart, myocardium extracts 75-80% O2 delivered to it; it is highest in the body. Myocardial O2 usage is most closely related to the total tension developed by the ventricular muscle. The term tension-time index (TTI) is used to express this parameter. TTI = mean systolic pressure x duration of systole x heart rate